Which method is used for HIV postest counselling
1. All of the below
2. Group approach
3. Mass media
4. Individual approach

Correct answer: 4. Individual approach

Explanation: Panel Discussion : 

In a panel discussion, 4 to 8 qualified persons talk about a topic and discuss a given problem in front of a large group or audience.